All are antiemetic except ?
1. Ondansetran
2. Metoclopramide
3. Chlorpromazine
4. Bismuth

Correct answer: 4. Bismuth

Explanation: Ans. is 'd' i.e., Bismuth Antiemetic drugs Anticholinergics - Hyoscine, Dicyclomine. H1 antihistaminics - Promethazine, cyclizine, Cinnarizine, etc. Neuroleptics (D2 blockers) - Chlorpromazine, Haloperidol, Droperidole etc. Prokinetics drugs - Metoclopramide, Domperidone, cisapride, Mosapride, Tegaserod. 5-HT3 antagonists - Ondansetron, Granisetron. Adjuvant antiemetics - Dexamethasone, BZDs, Cannabinoids, Clonidine & ephedrine.